Not a cause of objective tinnitus ?
1. Palatal myoclonus
2. Glomus tumor
3. Carotid artery aneurysm
4. Presbyacusis

Correct answer: 4. Presbyacusis

Explanation: Ans. is 'd' i.e., Presbyacusis Tinnitus Tinnitus is ringing sound or noise in the ear. The characteristic feature is that the origin of this sound is within the patient.